Rain drop hyperpigmentation seen in:
1. Organic lead
2. Inorganic lead
3. Inorganic arsenic
4. Arsenic gas

Correct answer: 3. Inorganic arsenic

Explanation: Ans. c. Inorganic arsenicSIGN AND SYMPTOMS IN CHRONIC ARSENIC POISONINGSystemSign and SymptomsSkin and Nails*. Raindrop pigmentation (Speckled brown pigmentation, mostly on the skin flexure, temples, shoulders, eyelids and neck)*. Leucomelanosis (Macular areas of depigmentation may appear on normal/ hyperpigmented skin).*. Aldrich-Mees Lines (Hyperkeratosis of the palms and soles with irregular thickening of the nails of fingers and toes.*. Brittle nails and alopecia are seenCNSPeripheral neuropathy with tingling numbness of hands and feet, polyneuritis, anesthesia, paraesthesia with painful swelling (Erythromelalgia)EncephalopathyNeuritis resembles chronic alcoholismCVSHypertension, ischemic heart disease, Cardiac failureGITNausea, vomiting, abdominal cramps, loss of appetite, constipation or diarrhea, salivationHepaticHepatomegaly, Jaundice, Cirrhosis of the liverRSCough, hoarseness of voice, bronchial catarrh, hemoptysis, dyspneaRenalChronic nephritis, urine may be red or green in color, dysuria and anuria may develop from renal tubular necrosisOcularCongestion, watering of the eyes, photophobiaHematologicBone marrow suppression, hypoplasia, anemia and leukemia